Protein folding is done by:
1. Chaperone
2. Endoplasmic reticulum
3. Peroxisome
4. Lysosome

Correct answer: 1. Chaperone

Explanation: Ans (a) ChaperoneRef; Harper's Biochemistry, 26th ed. pg. 36-37* Chaperone proteins participate in the folding of over half of mammalian proteins. The hsp70 (70-kDa heat shock protein) family of chaperones binds short sequences of hydrophobic amino acids in newly synthesized polypeptides, shielding them front solvent.